A 23-year-old male presented with nose bleed. Lab parameters show Hb= 5 g/dl g/dl, Platelet count = 23,000/mm3 and absolute neutrophil count = 176/mm3. Bone marrow is hypocellular with fatty infiltration. All of following statements are true regarding this condition except -
1. Can be cured by Hematopoietic stem cell transplantation
2. Lymphadenopathy and splenomegaly are highly typical
3. Bleeding is the most common symptom
4. Immunosuppressants are given to cure the disease

Correct answer: 2. Lymphadenopathy and splenomegaly are highly typical

Explanation: The above clinical presentation is suggestive of Aplastic anemia. Lymphadenopathy and splenomegaly are highly atypical of aplastic anemia. Aplastic anemia - Aplastic anemia is pancytopenia with bone marrow hypocellularity. Bleeding is the most common early symptom Easy bruising, oozing from the gums, nose bleeds, heavy menstrual flow, and sometimes petechiae are noticed. Thrombocytopenia leads to small amounts of bleeding in the central nervous system resulting in intracranialor retinal hemorrhage. Symptoms include lassitude, weakness, shortness of breath, and a pounding sensation in the ears. Ix- Mean corpuscular volume (MCV) is commonly increased. Reticulocytes are absent or few, and lymphocyte numbers may be normal or reduced. Bone Marrow is hypocellular and shows mainly fat under the microscope Severity of disease is defined by the presence of 2 of 3 following parameters - a) Absolute neutrophil count <500/mL b) Platelet count <20,000/mL c) Corrected reticulocyte count <1% (or absolute reticulocyte count <60,000/mL).